HLA* 1502 is a genetic marker of
1. SLE
2. Polyarteritis nodosa
3. Steven Johnson syndrome
4. Seronegative spondyloarthritis syndrome

Correct answer: 3. Steven Johnson syndrome

Explanation: The HLA allele B*1502 as a marker for carbamazepine-induced Stevens-Johnson syndrome and toxic epidermal necrolysis .This allele is seen in high frequency in many Asian populations other than Han Chinese, but there are few data on whether the allele is a marker for this severe outcome in anyone other than Han Chinese. In fact, the association has not been found in Caucasian patients. Carbamazepine is an important treatment for seizure disorders, bipolar disorder, trigeminal neuralgia and chronic pain. However, carbamazepine is also associated with hypersensitivity reactions that range from benign urticaria to life-threatening cutaneous disorders, including Stevens-Johnson syndrome (SJS) and toxic epidermal necrolysis (TEN) . Ref - harrison's internal medicine 20e p368